A woman who pricked her finger while pruning some rose bushes develops a local pustule that progressed to an ulcer. Several nodules then developed along the local lymphatic drainage. The most likely etiological agent would be?
1. Aspergillus fumigatus
2. Candida albicans
3. Histoplasma capsulatum
4. Sporothrix schenckii

Correct answer: 4. Sporothrix schenckii